Tendency to form multiple pulp stone is a feature of:
1. Herpes zoster.
2. Ehlers danlos syndrome.
3. Darrier's disease.
4. None.

Correct answer: 2. Ehlers danlos syndrome.